In TCA cycle, NADH is produce at all sites except -
1. Isocitrate dehydrogenase
2. Succinate dehydrogenase
3. Malate dehydrogenase
4. a Ketoglutarate dehydrogenase

Correct answer: 2. Succinate dehydrogenase

Explanation: Ans. is 'b' i.e., Succinate dehydrogenase NADH is produced and CO , is liberated at 3 steps :Conversion of isocitrate to a-ketoglutarate by isocitrate dehydrogenaseConversion of a-ketoglutarate to succinyl CoA by a-ketoglutarate dehydrogenaseConversion of L-malate to oxaloacetate by malate dehydrogenase.